Chemical peeling is done by all except:
1. Trichloroaccetic acid
2. Phosphoric acid
3. Carbolic acid
4. Kojic acid

Correct answer: 2. Phosphoric acid

Explanation: B i.e. Phosphoric acid Chemical peeling is done by a hydroxy acids (glycolic acid, lactic acid, malic acid, citric acid), f3 hydroxy acid (salicyclic acid), trichloroacetic acid (TCA)Q, a-ketoacid (pyruvic acid), phenol (carbolic acid), Kojic acid (2, retinoic acid (tretinoin), resorcinol, solid carbon dixoxide, Jessner's solution (lactic acid + salicylic acid + resorcinol + 95% ethonol), modified Unna's resorcinol paste and Baker -Gordon phenol peel (phenol + croton oil + hexachlorophene/septisol+distilled water). But phosphoric acid is not used for chemical peelingQ.